CASPAR criteria is used in diagnosis of -
1. Psoriatic arthritis
2. Rheumatoid arthritis
3. Ankyosing spondylitis
4. Reactive synnovitis

Correct answer: 1. Psoriatic arthritis

Explanation: Ans. is 'a' i.e., Psoriatic arthritis o Classification criteria for psoriatic arthritis (CASPAR) is used for the diagnosis of psoriatic arthropathy.The CASPAR (classification Criteria for Psoriatic Arthritis) CriteriaTo meet the CASPAR criteria a patient must have inflammatory articular disease (joint, spine, or entheseal) with 13 points from any of the following five categories :1. Evidence of current psoriasis, a personal history of psoriasis, or fa family history of psoriasis.2. Typical psoriatic nail dystrophy observed on current physical examination.3. A negative test result for rheumatoid factor.4. Either current dactylitis or a history of dactylitis recorded by a rheumatologist.5. Radiographic evidence of juxtaarticular new bone formation in the hand or foot.